Which of the following are signs of hemorrhagic pancreatitis
1. Cullen sign
2. Gray turner sign
3. Fox sign
4. All of the above

Correct answer: 4. All of the above

Explanation: Hemorrhagic pancreatitis signs -

Cullen sign - discoloration around umblicus
Gray turner sign - discoloration around flanks
Fox sign - discoloration around inguinal region